The number of deaths prevented as a result of particular health programme is best evaluated by:
1. Cost accounting
2. Cost benefit analysis
3. Cost effective analysis
4. None of the above

Correct answer: 3. Cost effective analysis

Explanation: Cost effective analysis evaluates the benefits of a particular health programme in terms of results achieved, like number of lives saved or number of days free from disease. Ref: Park 22nd edition pg: 814.